Which of the following sites represents the location of Bezold abscess?
1. Diagastric triangle
2. Sternocleidomastoid muscle
3. Infra temporal region
4. Sub mandibular region

Correct answer: 2. Sternocleidomastoid muscle

Explanation: Ans. (b) sternocleidomastoid muscleRef: Dhingra's ENT 6th ed/ 78* Mastoid tip is in relation to two muscles:# Sternocleidomastoid muscle# Digastric muscle (posterior belly)* If there is abscess from:# SCM muscle: Bezolds abscess# Digastric area: Citelli s abscess.Also KnowDifferent MASTOID ABSCESSESAbscessLocationWild's abscessSubperiosteal mastoid abscessBezold's abscessDeep to Sternomastoid muscleLuc's abscessUnder periosteum of the roof of bony canalCitelli's abscessDigastric triangle (along posterior belly of digastrics muscle)